Ewings sarcoma clinically mimics -
1. Osteomyelitis
2. Osteochondroses
3. Osteosclerosis
4. Heterotopic ossification

Correct answer: 1. Osteomyelitis

Explanation: Ans. is 'a' i.e., Osteomyelitis o Ewing sarcoma is one of the differential diagnosis for subacute osteomyelitis, ( see following table) TypeGledhill classificationRobert et at ClassificationDifferential diagnosisISolitary' localized zone of radioluceney surrounded by reactive new bone formationIa-Punched-out radioluceney Ib-Punched-out radiolucent lesion with sclerotic marginLangerhans cell histiocytosis Brodie abscessIIMetaphyseal radiolucencies with cortical erosion Eosinophilic granuloma; osteogenic sarcomaIIICortical hyperostosis in diaphysis; no onion skinningLocalized cortical periosteal reactionOsteoid osteomaIVSubperiosteal new bone and onion skin layeringOnion skin periosteal reactionEwing sarcomaV Central radioluceney in epiphysisChondroblastomaVI Destructive process involving vertebral bodyTuberculosis; osteogenic sarcoma